An 11-year-old boy is examined by an ENT doctor for his swollen palatine tonsils. The palatine tonsils are located between the anterior and posterior tonsillar pillars. Which of the following muscles form these pillars?
1. Levator veli palatini and tensor veli palatini
2. Palatoglossus and palatopharyngeus
3. Styloglossus and stylopharyngeus
4. Palatopharyngeus and salpingopharyngeus

Correct answer: 2. Palatoglossus and palatopharyngeus

Explanation: The palatine tonsils lie in tonsillar beds with muscular (covered with mucosa) anterior and posterior pillars forming the boundaries of the bed. These pillars are formed by the palatoglossal arch, anteriorly, and the palatopharyngeal arch, posteriorly. The anterior pillar, part of the palatoglossal arch, contains the palatoglossus muscle; the posterior pillar, provided by the palatopharyngeal arch, is formed by the palatopharyngeus muscle.